All of the following reasons are likely to indicate the need for restoration of a cervical notch except _____.
1. Patient age.
2. Esthetic concern.
3. Tooth is symptomatic.
4. Deeply notched axially.

Correct answer: 1. Patient age.

Explanation: If a patient has a notched cervical area that is very sensitive or very esthetically objectionable, restoration is usually indicated. If the notched area is very deep, adverse pulpal or gingival responses may occur. Although more notched areas are encountered in older patients, a patient’s age is not a factor in the need for restoration.